Homer's syndrome consists of-
1. miosis and endopthalmos
2. miosis and exopthalmos
3. miosis and proptosis
4. miosis and ptosis

Correct answer: 4. miosis and ptosis

Explanation: D i.e. Miosis and ptosis Homer's syndrome presents with - ENopthalmos Q, Ptosis Q, Anhidrosis, Loss of ciliospinal reflexes Q, MiosisQ (Mnemonic - "NO-PALM") Way of remembering - all things are decreased whether it be the size of pupil (miosis), or proptosis of eye (enopthalmos), or palpebral size (ptosis), or unilateral loss of sweating (anhidrosis), or reflexes (loss of ciliospinal reflexes).